Rate limiting step in HMP shunt ?
1. Glucose-6-phosphate - 6-phosphogluconolactone
2. 6-phosphogluconolactone - 6-phosphogluconate
3. 6-phosphogluconate - Ribulose-5-phosphate
4. Ribulose-5-phosphate - Xylulose-5-phosphate

Correct answer: 1. Glucose-6-phosphate - 6-phosphogluconolactone

Explanation: Ans. A. Glucose-6-phosphate - 6-phosphogluconolactone